A 25 year Patient presents in emergency with abdominal trauma. Why is FAST done?
1. Detection of Pericardial fluid accumulation
2. Detection of bowel lacerations
3. Detection of Mesenteric Tear
4. Detection of aortic transection

Correct answer: 1. Detection of Pericardial fluid accumulation

Explanation: Ans. (a) Detection of Pericardial fluid accumulationRef: Bailey 26th edition Page 359FAST focuses on six areas1.Pericardium2. Area around the liver3. Area around the spleen4. Left pericolic gutters5. Right pericolic gutters6. Peritoneal space in the pelvis